High fiber diet reduces risk of the following except:
1. IBD
2. Ca Colon
3. Sigmoid volvulus
4. Diverticulitis

Correct answer: 3. Sigmoid volvulus

Explanation: Ans. (c) Sigmoid volvulusRef: Sahiston Textbook of Surgery, 20th edition, Pages 1330, 1334 & 1339* Sigmoid volvulus accounts for two-thirds of all cases of colonic volvulus.* Factors associated with sigmoid volvulus:# Constipation# Old age (7th-8th decade)# Psychiatric patients# High fiber diet intake countries* High fiber diet is protective in:# Cancer colon# Ulcerative colitis# Diverticulitis